Anomalies of oral cavity most commonly found in
which stage
1. Embryonic
2. Period Of Fertilization
3. Period Of Fetus
4. None

Correct answer: 1. Embryonic